Rashtriya Swasthya Bima Yojana was launched in:
1. 1999
2. 2002
3. 2005
4. 2008

Correct answer: 4. 2008

Explanation: Rashtriya Swasthya Bima Yojana was launched in 2008. The objective is to improve access to health care in unorganised work force in the BPL category. Ref: Textbook of community medicine, S. Lal, 3rd edition pg: 629.